Which is attached most anteriorly on the intercondylar areaof tibia intercondylararea of tibia (area b/w medial and lateral tibial plateau)-
1. Anterior cruciate ligament
2. Posterior cruciate ligament
3. Anterior horn of the lateral meniscus
4. Anterior horn of the medial meniscus

Correct answer: 4. Anterior horn of the medial meniscus

Explanation: Ans. is'd' i.e, Anterior horn of the medial meniscusPROXIMAL END (upper end)Proximal (upper) end of tibia includes medial & lateral condyles, forming tibial plateau.It also includes tibial Tuberosity & intercondylar area.Attachments on proximal end are:Medial condyle:Semimembranous (posteriorly), capsule of knee joint, tibial (medial) collateral ligament (deep part), medial patellar retinaculum (anteriorly).Lateral condyle: illiotibial tract (anteriorly), capsule of superior tibiofibular joint.Tibial Tuberosity:Ligamentum patellaeIntercondylar area (from anterior to posterior);Anterior horn of medial meniscusAnterior cruciate ligament (ACL)Anterior horn of lateral meniscusPosterior horn of lateral meniscusPosterior horn of medial meniscysPosterior cruciate ligament (PCL)